"Loeffler's syndrome" is characterized by:
1. Transient, migratory pulmonary infiltrations
2. Fibrosis in the pulmonary apices
3. Fibrosis in the base of one or both lungs
4. Miliary mottling

Correct answer: 1. Transient, migratory pulmonary infiltrations

Explanation: a. Transient, migratory pulmonary infiltrations(Ref: Nelson 20/e p 2080)Loeffler's syndrome is now called "transient pulmonary infiltrates with eosinophilia syndrome" and is most commonly caused by Ascaris lumbricoides or roundworm.